Acute osteomyelitis can best be distinguished from soft tissue infection by –
1. Clinical examination
2. X–Ray
3. CT scan
4. MRI

Correct answer: 4. MRI

Explanation: MRI is the best radiographic imaging technique for the identification of abscess and for differentiation between bone and soft tissue infection.